The recommended level of fluorides in drinking water in this Country is accepted as
1. 0.5 to 0.8 mg per litre
2. 1 to 2 mg per litre
3. 3 to 6 mg per litre
4. 7 to 12 mg per litre

Correct answer: 1. 0.5 to 0.8 mg per litre